Sphingomyelinase deficiency is a feature of -
1. Niemann pick disease
2. Tay Sach's disease
3. Krabbe's disease
4. Fabry's disease

Correct answer: 1. Niemann pick disease

Explanation: Ans. is 'a' i.e., Niemann pick diseaseLipid storage disordersDisorderEnzyme defectGaucher's diseaseb glucosidaseNiemann Pick diseaseSphingomyelinaseFabry's diseasea galactosidaseGM1 gangliosidosisb galactosidaseGM2 gangliosidosisHexosaminidase ASandhoff s diseaseHexosaminidase A and BKrabbe's diseaseGalactosyl ceramidaseMetachromatic leukodystrophyAryl Sulfatase AFarber's diseaseCeramidaseWolman's diseaseAcid lipase